Most common kidney disease associated with chronic heroin use is?
1. IgA nephropathy
2. Focal segmental GN
3. Lipod nephrosis
4. Mesangioproliferative GN

Correct answer: 2. Focal segmental GN

Explanation: Ans. is 'b' i.e., Focal segmental GN * Renal disease in cocaine and heroin users is associated with the nephrotic syndrome, acute glomerulonephritis, amyloidosis, interstitial nephritis, and rhabdomyolysis.* The predominant renal lesion in black heroin users is focal segmental glomerulosclerosis and in white heroin users is membranoproliferative glomerulonephritis.* The pathophysiologic basis of cocaine-related renal injury involves renal hemodynamic changes, glomerular matrix synthesis and degradation, and oxidative stress and induction of renal atherogenesis.* CKD in drug abusers is more common with concomitant chronic HIV, hepatitis B virus (HBV), and HCV infections.